A person washes hands repeatedly with a fear of getting HIV, he is suffering from
1. Phobic disorder
2. Obsessive-compulsive disorder
3. Dissriative and conversion disorder
4. Somatoform disorder

Correct answer: 2. Obsessive-compulsive disorder

Explanation: (B) Obsessive-compulsive disorder # OBSESSIVE-COMPULSIVE DISORDER:> Washers:* This is commonest type. Here the obsession is of contamination with dirt, germs, body excretions and the like.* The compulsion is washing of hands or the whole body, repeatedly many times a day.* It usually spreads on to washing of clothes, washing of bathroom, bedroom, door knobs and personal articles gradually.